Case control study is a type of-
1. Descriptive epidemiological study
2. Analytical study
3. Longitudinal study
4. Experimental epidemiological study

Correct answer: 2. Analytical study

Explanation: Analytical studies include: Ecological or correlational-with populations as unit of study Cross sectional or prevalence-with individuals as unit of study Case control or case reference-with individual as unit of study Cohort or followup-with individual as unit of study.(refer pg no:62 park 23rd edition)